There is increased risk of following complications in multifetal pregnancy except
1. Maternal death
2. Preeclampsia
3. Hysterectomy
4. Post term pregnancy

Correct answer: 4. Post term pregnancy

Explanation: Multifetal pregnancy carries high risk of preeclampsia, postpartum hemorrhage, maternal death and peripartum hysterectomy.